Most common cause of spontaneous abortion is?
1. Chromosomal abnormality
2. Uterine malformations
3. Immunological
4. Infections

Correct answer: 1. Chromosomal abnormality

Explanation: ANSWER: (A) Chromosomal abnormalityREF: Dutta 6th ed p. 159Most common cause of spontaneous abortion is chromosomal abnormality, trisomy of chromosome 16.